The Lab investigation of a patient shows.↓T4, & ↑TSH. Which of the following is the most likely diagnosis -
1. Grave's disease
2. Hashimoto's disease
3. Pituitary failure
4. Hypothalamic failure

Correct answer: 2. Hashimoto's disease